Mycosis fungoides is a
1. Papillitis
2. Fungal infection
3. T cell Lymphoma
4. Paracytic infection

Correct answer: 3. T cell Lymphoma